All are endopeptidases except ?
1. Trypsin
2. Chymotripsin
3. Carboxypeptidase
4. None

Correct answer: 3. Carboxypeptidase

Explanation: Ans. is 'c' i.e., Carboxypeptidase Trypsin, chymotrypsin and elastase are endopeptidases, which means that they split peptide linkages in the middle of the amino acid chain, not at either end. Carboxypeptidases (A and B), on the other hand, are exopeptidases, i.e., They split the peptide linkage at the carboxyl end of amino acid chain.